What of the following is essential for tumour metastasis?
1. Angiogenesis
2. Tumorogenesis
3. Apoptosis
4. Inhibition of tyrosine kinase activity

Correct answer: 1. Angiogenesis

Explanation: . Angiogenesis